All of the following statements of the Adrenal gland are true except -
1. Both are supplied by three arteries
2. Both adrenal glands drain directly into inferior vena cava
3. Right gland is Pyramidal in shape
4. Average weight is about 5gms.

Correct answer: 2. Both adrenal glands drain directly into inferior vena cava

Explanation: Venous drainage is through a suprarenal vein. Right suprarenal (adrenal) vein drains into IVC and left suprarenal vein drains into the left renal vein and then into IVC.
Other options are correct.